Mission Indradhanush includes all vaccines except ?
1. Diphtheria
2. Polio
3. Typhoid
4. Tetanus

Correct answer: 3. Typhoid

Explanation: MISSION INDRADHANUSH: - Launched by Ministry of Health & Family Welfare - Its aim is 100% coverage by 'catchup compaign' irrespective of previous immunization status, by 2020 - Initially included vaccines against 7 vaccine preventable diseases (Now 12). They were: TB Polio Diphtheria Pertussis Tetanus Hepatitis-B Measles Recently- Rotavirus, MR , IPV , JE are included in this.